Phage typing is widely used for the intraspecies classification of one of the following bacteria -
1. Staphylococci
2. E. coli
3. Klebsiella pneumoniae
4. Pseudomonas aeruginosa

Correct answer: 1. Staphylococci